A 20 year old male come to casuality with head injury. Examination reveals normal counsciousness, clinically normal and blood in the tympanic membrane, most likely cause is
1. Extradural haemorrhage
2. Subdural haemorrhage
3. Intraventricular haemorrhage
4. Complete basilar fracture

Correct answer: 4. Complete basilar fracture

Explanation: (Complete basilar fracture) (595 - 99- B & L 24th) (302-Baily & Love 25th)Extradural haemorrhage - Common in younger age group* Usually from haemorrhage of middle meningeal artery* **Lucid interval is characteristic* Surgery without delay is essentialSubdural haematoma - most common intracranial mass lesions resulting from head trauma* *Develop from tom bridging veins or cortical lacerations* More severe poorer out come* **CT - concave hyperdense collectionsBase of skull fractures|||Anterior Cranial Fossa FractureMiddle Cranial Fossa Fracture* Sub conjunctival haematoma* CSF rhinorrhoea* Carotico-cavemous fistula* Periorbital haematoma or "raccoon eyes"* CSF otorrhoea or rhinorrhoea* Haemotympanum ** Ossicular disruption* "Battle sign" (brushing behind the ear)* VII and VIII cranial nerve palsies